A 7 year old female child is brought to you with features of precocious puberty. On examination she has features of virilisation and is hypertensive. Which of the following enzyme deficiency is responsible for her condition?
1. 21 - hydroxylase
2. 11 - hydroxylase
3. 17 - hydroxylase
4. 3b- hydroxy steroid dehydrogenase

Correct answer: 2. 11 - hydroxylase

Explanation: The features of 11 - hydroxylase deficiency in a female are precocious puberty, hypertension, virilization etc. Also know: 1) Hypertension occurs in 17 - hydroxylase and 11 - hydroxylase deficiency 2) Male pseudohermaphroditism occurs in 17 - hydroxylase and 3b-hydroxysteroid dehydrogenase deficiency 3) Female pseudohermaphroditism is seen in 21- hydroxylase and 11- hydroxylase deficiency. Ref: Ganong, Edition 20, Page - 353